Breast Ca good prognostic markers are :a) ER +veb) Progesterone (receptors) +vec) HER- 2/neu (receptors) +ved) CD44 receptor +vee) p53 gene +ve
1. ac
2. a
3. ab
4. bc

Correct answer: 3. ab